which of the following is not a side effect of amitriptyline:
1. Constipation
2. Fine tremors
3. Weight loss
4. Dry mouth

Correct answer: 3. Weight loss

Explanation: Ref: KDT 6/e p444 'Weight gain ( not weight loss) in seen with TCAs.